For medical termination of pregnancy, consent should be obtained from?
1. The male partner
2. The male as well as the female partner
3. The female partner
4. Consent is not required

Correct answer: 3. The female partner

Explanation: Ans. is c, i.e. The female partnerRef Park's Textbook of PSM 21/e, p 468, 469For MTP:Only female's consent is requiredHusbands consent is not required. (The confidentiality about name is maintained)Consent of parent/guardian is required when age of patient is <18 years and in case of lunatic females Person who can perform MTPRMP with 25 MTPS done in approved institution6 month housemanship in Obstetrics and GynecologyPost graduate qualification in Obstetrics and Gynecology3 years practice in Obstetrics and Gynecology who are registered before 19711 year practice in Obstetrics and Gynecology for those registered on or after the date of commencement of the act.